Which of the following antiarrhythmic drugs can decrease the slope of Phase 0 and prolong the action potential duration?
1. Lignocaine
2. Propanolol
3. Quinidine
4. Adenosine

Correct answer: 3. Quinidine

Explanation: Na+ channel blockers reduce the slope of phase 0 whereas K+ channel blockers prolong the APD. Both of these properties are present in class Ia antiarrhythmics like quinidine and procainamide.